Pointing index finger is seen in which nerve injury
1. Axillary
2. Radial
3. Median
4. Ulnar

Correct answer: 3. Median

Explanation: CAUSE OF INJURY CLINICAL FEATURES Injury above the elbow joint (supracondylar) |LRT/RTT Flexor digitorum profundus (FDP) & flexor pollicis longus injured (FPL) Inability to flex the distal interphalangeal joint of index finger (due to FDP injury) weakness of wrist flexion. hand deviates to ulnar side on flexion Flexion of index & middle finger is lost. Anterior abduction, opposition & flexion of thumb is compromised (due to FPL injury) sensory loss on lateral 3 1/2 fingers. Hand of Benediction (Pointing Index Finger)- Median nerve lesion OCHSNER'SCLASPING TEST - TEST FOR MEDIAN NERVE INJURY. Weak flexion of wrist Loss of pronation of forearm Loss of flexion of proximal interphalangeal and distal interphalangeal joints of index and middle fingers Loss of flexion at interphalangeal joint of thumb Partial clawing of second and third digits Sensory, trophic and vasomotor changes